Traveller's diarrhoea is caused by -
1. Enteropathogenic E. coli
2. Enterohaemorrhagic E. coli
3. Enterotoxigenic E. coli
4. Enteroinvasive E. coli

Correct answer: 3. Enterotoxigenic E. coli